Which of the following is not a coccidian?
1. Isospora
2. Cyclospora
3. Cryptosporidia
4. Enterocytozoon

Correct answer: 4. Enterocytozoon

Explanation: ANSWER: (D) EnterocytozoonREF: http://en.wikipedia.org/wiki/Coccidia, http:vVen.wikipedia.org/wiki/EucoccidioridaCoccidia are a subclass of microscopic, spore-forming, single-celled obligate parasites belonging to the apicomplexan class Conoidasida. Coccidian parasites infect the intestinal tracts of animals, and are the largest group of apicomplexan protozoa.CoccidianEucoccidianAdelecoccidianHaemogregarina, Hepatozoon, KaryolysusEimericoccidianCryptosporidiidae (Cryptosporidium) Eimeriidae (Isospora, Cyclospora, Eimeria) Sarcocystidae (Toxoplasma, Sarcocystis, Besnoitia, Neospora)AgamococcidianRhytidocystidae (Rhytidocystis)